Nitroglycerin cause all except
1. Hypotention and bradycardia
2. Methamoglobinemia
3. Hypotention and tachycardia
4. Vasodilatation

Correct answer: 1. Hypotention and bradycardia

Explanation: Refer katzung 11e p 265 KDT 6/e p524 Nitrates most commonly used antianginal drugs. These act by decreasing delivery of nitric oxide in the blood vessels leading to vasodilatation.